Which of the following antiretrol drugs does not cause peripheral neuropathy
1. Lamivudine
2. Stavudine
3. Didanosine
4. Zalcitabine

Correct answer: 1. Lamivudine

Explanation: Lamivudine E-Emtricitabine and Lamivudine are safest NRTIs these are not assoscated with peripheral neuropathy or pancreatitis Refer KDT 6/e p771, 772